Most common radiation induced cancer:
1. Thyroid Carcinoma
2. Breast Carcinoma
3. Leukemia
4. Sarcomas

Correct answer: 3. Leukemia

Explanation: Leukemia is most common radiation induced cancer.
Others: Thyroid, Breast Carcinoma